Most valuable diagnostic test in a case of suspected ectopic pregnancy:
1. Serial (3-hCG levels
2. Transvaginal USG
3. Progesterone measurement
4. Culdocentesis

Correct answer: 2. Transvaginal USG

Explanation: Transvaginal ultrasound Repeat from Nov 09 Q no.161